Complement level is reduced in:
1. Minimal change
2. Membranous
3. Focal & segmental
4. Membrane proliferative GN

Correct answer: 4. Membrane proliferative GN

Explanation: Ans. D. Membrane proliferative GNMembranoproliferative GlomerulonephritisCauses of Membranoproliferative Glomerulonephritis1. Type I Disease (Most Common)a. Idiopathicb. SLEc. Endocarditisd. Hepatitis Ce. Hepatitis Bf. Mixed cryoglobulinemiag. Cancer: Lung, breast, and ovary (germinal)2. Type II Disease (Dense Deposit Disease)a. Idiopathicb. C3 nephritic factor-associatedc. Partial lipodystrophy3. Type III Diseasea. Idiopathicb. Complement receptor deficiencyClinical Featurea. They present with microscopic to gross hematuria and selective or non - selective proteinuria depending on the severity of the disease.b. They have a poor prognosis, developing renal failure 5-10 years after diagnosis.c. Complement level is reduced